All cause viral hepatitis except -
1. Measles
2. EBV
3. Rhinovirus
4. Reovirus

Correct answer: 3. Rhinovirus

Explanation: Ans. is 'c' i.e., Rhinovirus Important viruses causing hepatitis:? 1) Hepatotropic viruses : HAV, HBV, HCV, HD V, HEV. 2) Herpes viruses : CMV, EBV, HSV-1, VZV. 3) Flaviviruses : Yellow fever, dengue fever. 4) Filoviruses : Marburg virus, Ebola virus. 5) Occasinal causes Measles virus, adenovirus, Echoviruses, Coxsackieviruses, influenza virus, parvoviruses, reoviruses, mumps virus.